Which is not true about hallucination -
1. It is as vivid as normal stimulus
2. It occurs in inner subjective space
3. It is independent of will of observer
4. It occurs in absence of perceptual stimuli

Correct answer: 2. It occurs in inner subjective space

Explanation: Characteristics of Hallucinations:-


The absence of corresponding external perceptual stimuli
Vividness, force and the real value of normal perception.
The experience occurs spontaneously
It cannot be produced or terminated at will by subject (not in conscious or voluntary control).
Perceived as being in external objective space.
Have relative permanency (i.e. remain constant and unchanged).
Hallucinations are usually experienced alongside and simultaneously with normal perception.